Phantom limb is an example of disorder of:
1. Thought
2. Perception
3. Cognition
4. None of the above

Correct answer: 2. Perception

Explanation: Perception is defined as any information which is perceived through sensory organs In phantom limb, the patient feels sensations in the amputated limb which in reality is not present. Hence, it's a disorder of perception.